Trapping parasites using NETs is assisted by
1. Neutrophils and Eosinophils
2. Neutrophils and Monocytes
3. Eosinophils and Monocytes
4. Nk cells

Correct answer: 1. Neutrophils and Eosinophils

Explanation: NEUTROPHILS AND EOSINOPHILS EMPLOY NETS TO ENTRAP PARASITESIn addition to ingesting small microorganisms such as bacteria by phagocytosis, neutrophils and eosinophils can assist in the elimination of larger invaders by trapping them within webs called neutrophil extracellular traps or NETsRef: Harper's Biochemistry; 30th edition; Chapter 54 White Blood Cells